Arch of aorta is derived from:
1. 2nd aortic arch
2. 3rd aortic arch
3. 3rd pharyngeal arch
4. 4th pharyngeal arch

Correct answer: 4. 4th pharyngeal arch

Explanation: Ans. D 4th pharyngeal archRef: Gray's Anatomy, 4V ed. pg. 607DERIVATIVES OF THE PHARYNGEAL ARCHESArch numberArch nameEmbryonic cartilageCartilage derivativeMuscleNerveArtery1MandibularQuadrate Meckel'sIncusMalleusAnterior ligament of malleus Spine of sphenoidSphenomandibular ligamentGenial tubercle of mandibleTensor tympani Muscles of mastication MylohyoidAnterior belly of digastricTensor veli palatineTrigeminal (V)Mandibular divisionFirst aortic arch artery (transitory)2HyoidReichert's* Stapes* Styloid process of temporal bone* Styloid process of temporal bone* Stylohyoid ligament* Lesser horn and upper part of body of hyoid bone*Stapedius* Stylohyoid muscle* Facial muscles, include.# Buccinator# Platysma# Posterior belly digastricFacial (VII)Stapedial artery (transitory)3Third Greater horn and lower part of body of hyoid boneStylopharyngeusGlossopharyngeal (IX)Common carotid artery4Fourth Thyroid cartilageCorniculate cartilageCuneiform cartilagePharyngeal and extrinsic laryngeal muscles, levator veli palatiniVagus (X)Pharyngeal branch* Proximal part of subclavian artery on the right* Arch of aorta between origins of left common carotid and left subclavian arteries6Sixth Arytenoid cartilagesIntrinsic laryngeal musclesVagus (X)Recurrent laryngeal branchPart between the pulmonary trunk and dorsal aorta becomes ductus arteriosus on left, disappears on right